World Health Organization 2010 criteria for morphology (strict criteria) for semen analysis includes -
1. >15% normal forms
2. >=4% normal forms
3. >=25% normal forms
4. >=32% normal forms

Correct answer: 2. >=4% normal forms

Explanation: Normal Semen Analysis: World Health Organization 2010 Guideline Volume >=1.5 mL Sperm concentration >=15 million/mL Total sperm number >= 39 million/ ejaculate Sperm motility >40%motile, >32%progressive Morphology >=4% normal forms (kruger's strict criteria) Vitality 58 % White blood cells <1 million/mL Immunobead/Mixed antiglobulin Reaction <50% coated with antibodies reaction